FAST -
1. CT
2. USG
3. MRI
4. X-ray

Correct answer: 2. USG

Explanation: Ans. is 'b' i.e., USG o FAST stands for focused assessment with sonography for trauma,o FAST is the preferred triage method for determining the presence of hemoperitoneum in blunt trauma patients or cardiac tamponade in blunt and penetrating trauma patients,o The four areas scanned in FASTSubxiphoid areaRt. upper quadrantIt upper quadrantPelvis